X-ray finding of ostemyelitis within 8 day is:
1. Cystic swelling
2. Soft tissue swelling
3. New bone formation
4. Seyuestrum formation

Correct answer: 2. Soft tissue swelling

Explanation: B i.e. Soft tissue swelling Radiological features of Acute osteomyelitis: < 7 days Soft tissue swellingQ > 10 days Periosteal reactionQ After 2-6 weeks Lytic changesQ when 50-75% of bone density has been lost